Immunoglobulins are secreted by:
1. Macrophages
2. Plasma cells
3. T-cells
4. Neutrophils

Correct answer: 2. Plasma cells